A patient with Gluten Sensitive Enteropathy can consume which of the following:
1. Rice
2. Barley
3. Oat
4. Rye

Correct answer: 1. Rice

Explanation: Rice can be given to gluten sensitive enteropathy patient. Gluten sensitive enteropathy Enetropathy is due sensitivity to the glidin fraction of gluten, the protein part that remains after removal of starch and water from defatted flour. Gluten free diet is given. AVOID BROW B- Barley R- Rye O- Oats W- Wheat